Menarche usually occurs how much time after thelarche?
1. 1 year
2. 2 years
3. 6 months
4. 4 years

Correct answer: 2. 2 years

Explanation: Menarche usually occurs 2-2.5 years after thelarche.